Antiseptic technique in surgery was first introduced by:
1. Joseph Lister
2. Louis Pasteur
3. Robert Koch
4. Antony Van Leeuwenhoek

Correct answer: 1. Joseph Lister